Whitehead's varnish in gauze is used to arrest bleeding from
1. Gingival crest
2. Bleeding from pulp
3. Bleeding from bone
4. Bleeding from capillaries

Correct answer: 3. Bleeding from bone